Theophylline overdose causes :
1. Bradycardia
2. Seizures
3. Drowsiness
4. Bronchospasm

Correct answer: 2. Seizures